Which one of the following is an important tumour marker in the diagnosis of endodermal sinus tumour : Which one of the following is an important tumour marker in the diagnosis of endodermal sinus tu? mour :
1. HCG
2. CA - 125
3. LDH
4. Alpha foeto protein

Correct answer: 4. Alpha foeto protein

Explanation: Alpha foeto protein